Parts of Limbic system are all EXCEPT
1. Mamillary body
2. Amygdala
3. Hippocampus
4. Pineal gland

Correct answer: 4. Pineal gland

Explanation: (D) Pineal gland# Mnemonic: MATCH: M-Maillary body A-Amygdala T-Tbalamus C-Cingulate gyrus H-Hippocampus# Limbic and paralimbic areas (such as the hippocampus, amygdala, and entorhinal cortex), the anterior and medial nuclei of the thalamus, the medial and basal parts of the striatum, and the hypothalamus collectively constitute a distributed network known as the limbic system.> Behavioral affiliations of this network include the coordination of emotion, motivation, autonomic tone, and endocrine function.> An additional area of specialization for the limbic network, and the one which is of most relevance to clinical practice, is that of declarative (conscious) memory for recent episodes and experiences.> A disturbance in this function is known as an amnestic state.